Not under millenium development goals?
1. Reduction of cardiovascular health hazards
2. Eradication of extreme poverty
3. Global partnership for development
4. Sustainability of the environment

Correct answer: 1. Reduction of cardiovascular health hazards

Explanation: The MDGs place health at the heart of development and represents commitments by governments throughout the world to do more to reduce poverty hunger and to tackle ill-health ,gender inequality,lack of education,access to clean water and environmental degradation.Three of the 8 goals ,8 of the 18 targets required to achieve them and 18 of the 48 indicators of progress are health related (refer pgno:893 park 23rd edition)